Enzyme deficiency in Hurler syndrome?
1. Iduronate sulfatase
2. a-l-Iduronidase
3. b-Galactosidase
4. Galactosamine 6-sulfatase

Correct answer: 2. a-l-Iduronidase

Explanation: Disease name Abbretion Enzyme Defective GaG(s) affected Symptoms Hurler syndrome MPS I a-l-Iduronidase Dermatan sulfate, Heparan sulfate Intellectual disability, coarse facial features, hepatosplenomegaly, cloudy cornea Reference: Harper; 30th edition; Page no:639; Table: 50-8